Alpha chain disease is detected by -
1. M component in serum
2. Jejunal biopsy
3. Light chain in lumen of jejunum
4. All of the above

Correct answer: 2. Jejunal biopsy